50 year old male known case of emphysema presents to OPD with complaint of shortness of breath for 2 weeks. Chest X Ray revealed 3 cm pneumothorax on the right side. What shall be the management approach for the patient ?
1. Repeated aspirations as chest drain insertion is dangerous if bullae are present
2. High flow oxygen and carefully monitor the patient
3. Insertion of Seldinger intercostal chest drain to cause resolution of pneumothorax
4. Insert a large bore chest drain as there may be a significant Air leak

Correct answer: 3. Insertion of Seldinger intercostal chest drain to cause resolution of pneumothorax

Explanation: This patient is having secondary Pneumothorax due to presence of underlying lung disease. Cut off used for large vs small pneumothorax is 3 cm distance from Apex. So this is a large symptomatic Pneumothorax and is treated with Seldinger chest drain. Choice A is used for small pneumothorax and can damage other bulla too Choice B is ruled out as we need to intervene actively in this case Choice D, Wide bore Chest drain is used for drainage of empyema, Hemothorax and Malignant pleural effusions.